A 66 year old presents to emergency with sudden onset severe pain, blurring vision in right eye. Examination reveals decreased visual acuity with shallow cornea, hazy cornea in the same eye.Eye has a stony hard consistency.Likely diagnosis is:
1. Keratitis
2. Uveitis
3. Conjunctivitis
4. Glaucoma

Correct answer: 4. Glaucoma

Explanation: Glaucoma